Syndrome associated with increased risk of leukemia is
1. Plummer Vinson syndrome
2. Klinefelter syndrome
3. Sturge Weber syndrome
4. Multiple hamartoma syndrome

Correct answer: 2. Klinefelter syndrome